All of the following produce cavitating nodules in the lung except
1. Sqamous cell CA
2. Caplan's syndrome
3. Hamartoma
4. Silicosis

Correct answer: 3. Hamartoma

Explanation: C i.e. Hamartoma Hamartoma produces noncavitating popcorn calcificationQ. Various infections, neoplasms, granulomatous lesions (wegner's rheumatoid-caplan's, pneumoconiosis, traumatic & vascular infarcts) produce cavitatory lesions.